Selective Alpha 2 blocker is
1. Tizanidine
2. Terazosin
3. Yohimbine
4. Dexmedetomidine

Correct answer: 3. Yohimbine

Explanation: Yohimbine, idazoxan -selective alpha 2 blockers. Only two of them are present with no important clinical use. Ref: KD Tripathi.